Low molecular weight heparin inhibits :
1. Factor Xa
2. Factor Xa and Ha
3. Factor Ha
4. Factors II, VII, IX and X

Correct answer: 1. Factor Xa